Specific stain for fat cells is
1. Eosin & haematoxylin
2. Carbol fuschin
3. Sudan III
4. Cresyl violet

Correct answer: 3. Sudan III